Biopsy of a small, rounded rectal polyp demonstrates glands and saw tooth crypts composed of a proliferation of goblet and columnar epithelial cells. No atypia is seen. This polyp is best classified as which of the following?
1. Hyperplastic polyp
2. Peutz-Jeghers polyp
3. Tubular adenoma
4. Tubulovillous adenoma

Correct answer: 1. Hyperplastic polyp

Explanation: - Given clinical features suggests the diagnosis of hyperplastic polyp OTHER OPTIONS: * Peutz-Jeghers polyps (choice 'b') have no malignant potential, but tend to be larger & have complex branching pattern. * Tubular adenomas & tubulovillous adenomas, (choices c and d) are true neoplastic polyps containing dysplastic epithelium; the malignant potential of these polyps increases with size & percentage of polyps having villous configuration.